CSF Rhinorrhea occurs d/t
1. Roof of orbit
2. Frontal sinus
3. Cribriform plate of ethmoid bone
4. Sphenoid bone

Correct answer: 3. Cribriform plate of ethmoid bone

Explanation: Commonest area of # causing CSF Rhinorrhea → cribriform plate of ethmoid bone as it is extremely thin.
Other possible areas of # causing CSF Rhinorrhea Frontal sinus (Posterior wall) or of the anterior cranial fossa.
Difference between CSF Rhinorrhea & allergic or vasomotor rhinitis CSF contains glucose which can be demonstrated by chemical tests.
CSF when collected into a test tube and allowed to stand, it remains clear in contradistinction to nasal discharge that leaves a sediment because of mucus and other proteins.
Nasal discharge stiffens the handkerchief and CSF dries soft in it.
Treatment: Prophylactic antibiotics & X-ray * If more than 2 wks then correct it surgically.